Following is/ are the causes of chronic cough with noncontributory chest radiograph?
1. Asthma
2. Post nasal drip
3. GERD
4. All the above

Correct answer: 4. All the above

Explanation: 90% of patients who have chronic cough and a normal or noncontributory chest radiograph belong to one of the following causes:i) Use of an angiotensin-converting enzyme inhibitorii) Post-nasal drainageiii) Gastroesophageal reflux andiv) Asthma.